Uncrossed diplopia is seen with:
1. Esotropia
2. Exotropia
3. Exophoria
4. Esophoria

Correct answer: 1. Esotropia

Explanation: Ans. Esotropia